Adenocarcinoma of ethmoid sinus associated with
1. Woodworkers
2. Nickel workers
3. Coal workers
4. Chimney workers

Correct answer: 1. Woodworkers

Explanation: Ans. is 'a' i.e Woodworkers Workers of wood industry develop - Adenocarcinomas of ethmoid & other nasal sinusesWorkers of Nickle refining industry - Sq. cell Ca & anaplastic Ca of nasal sinuses.